A 5 yr old boy presented with leukocoria in right eyeball diagnosed to be retinoblastoma involving full eyeball, while other eye had 2-3 small lesions in the periphery. What will be the ideal management for this patient?
1. Enucleation of both eyes
2. Enucleation of right eye & conservative management of the other eye
3. Enucleation of right eye and focal therapy of the other eye
4. 6 cycles of chemotherapy

Correct answer: 3. Enucleation of right eye and focal therapy of the other eye

Explanation: Enucleation is treatment of choice for group E tumors .involves more than half of retina , optic nerve and AC involved, glucoma present. Ref: ak khurana 6th edition